In radionuclide imaging the most useful radio pharmaceutical for skeletal imaging is:
1. Gallium 67 (67Ga)
2. Technetium-sulphur-colloid (99mTc-Sc)
3. Technetium-99m (99mTc)
4. Technetium-99m linked to Methylene dis-phos-phonate (99mTc-MDP)

Correct answer: 4. Technetium-99m linked to Methylene dis-phos-phonate (99mTc-MDP)

Explanation: Ans. Technetium-99m linked to Methylene dis-phos-phonate (99mTc-MDP)